The major objectives of access preparation include all of the following except which one?
1. The attainment of direct, straight-line access to canal orifices.
2. The confirmation of clinical diagnosis.
3. The conservation of tooth structure.
4. The attainment of direct, straight-line access to the apical portion of the root.

Correct answer: 2. The confirmation of clinical diagnosis.

Explanation: The confirmation of clinical diagnosis. Confirmation of clinical diagnosis should be made before treatment is rendered. Access is the first and arguably the most important phase of nonsurgical root canal therapy. The objectives are:

to achieve straight-line access to the apical foramen or curvature of the canal,
to locate all root canal orifices, and
to conserve sound tooth structure